All of the following veins are formed from vitelline vein except
1. Hepatic vein
2. Superior vena cava
3. Inferior vena cava
4. Superior mesenteric vein

Correct answer: 2. Superior vena cava

Explanation: B i.e. Superior Vena Cava